First line management of Menetrier's disease?
1. Cetuximab
2. Octreotide
3. Subtotal Gastrectomy
4. Total Gastrectomy

Correct answer: 1. Cetuximab

Explanation: Menetrier's disease is example of protein losing enteropathy Premalignant condition Rugosities of stomach Foveolar cell hyperplasia (produce excess of mucin) Cerebriform appearance of stomach mucosa. Gastric fold are prominent in body and fundus & spares Antrum. In children's it is caused by CMV and in adult it is unknown. Cytokine responsible for Menetrier's Disease - EGFR Cetuximab is anti EGFR : First line management of Menetrier's disease -We do not use total gastrectomy